Best therapy suited to teach daily life skill to a mentally challenged child-
1. CBT (Cognitive Behaviour Therapy)
2. Contigency
3. Cognitive reconstruction
4. Self instruction

Correct answer: 2. Contigency

Explanation: B. i.e. Contingency